All of the following are Conservative treatment modality in a pediatric patient except:
1. IPC.
2. DPC.
3. Pulpotomy.
4. Pulpectomy.

Correct answer: 4. Pulpectomy.

Explanation: Pulpotomy is also conservative as the only bad pulp is removed.